A patient on aspirin will have an increase in:
1. Bleeding time
2. Clotting time
3. Prothrombin time
4. Activated partial thromboplastin time

Correct answer: 1. Bleeding time

Explanation: Aspirin, even in small doses, irreversibly inhibits TXA2 synthesis by platelets. Thus, it interferes with platelet aggregation and bleeding time is prolonged to nearly twice the normal value. long-term intake of large dose decreases the synthesis of clotting factors in the liver and predisposes to bleeding; can be prevented by prophylactic vit K therapy. ESSENTIALS OF MEDICAL PHARMACOLOGY;7TH EDITION; KD TRIPATHI; PAGE NO 196